Average number of mites found on the body in a person suffering from scabies is?
1. 2-Jan
2. 10-May
3. 15-Oct
4. 15-20

Correct answer: 3. 15-Oct

Explanation: ANSWER: (C) 10-15REF: The encyclopedia of sexually transmitted diseases by Jennifer Shoquist, Diane Stafford- Page 158, Common skin diseases in children: diagnosis and management - Page 105The difference between Norwegian scabies and regular scabies is the number of mites found on the infected individual. Regular scabies usually causes a person to host about 10 to 15 (range 3-50) mites at a time; a patient who has Norwegian scabies has thousands to millions.